Glycemic index of Fruits is:
1. Low
2. Medium
3. High
4. None

Correct answer: 1. Low

Explanation: Answer: A. Low. (Ref. Park's Textbook of PSM 22nd/Pg.568)# Glycemic index (GI) of a food is defined as the area under two hour blood glucose response curve (AUC) following the ingestion of a fixed portion of test carbohydrate (usually 50 gms) as a proportion (%) of the AUC of the standard (either glucose or white bread).# It measures how fast food is likely to raise the blood sugar and helps in managing the blood sugar in diabetic patients.It indirectly measures effect of foods on blood sugar.ClassificationGI rangeExamplesLow GI55 or lessMost fruits and vegetables (except potato, watermelon and sweet-corn), whole grains, pasta foods, beans, lentilsMedium GI56-69Sucrose, basamati rice, brown riceHigh GI70 or moreCorn flakes, baked potatoes, rice white (jasmine), white bread, candy bar, syrupy foods.